A drug which is not used to provide conscious sedation
in a child is
1. Nitrous Oxide
2. Chloral Hydrate
3. Hydroxyzine
4. Lincomycin

Correct answer: 4. Lincomycin